Example of Type IV hypersensitivity is -
1. Serum sickness
2. Granulomatous reaction
3. Shwartzman reaction
4. Arthus reaction

Correct answer: 2. Granulomatous reaction

Explanation: Ans. (b) Granulomatous reaction(Ref: Robbins 9th/pg 208-211; 8th/pg 205-208; Illustrated Dictionary of Immunology by M.P.Arora - Page 501)Granulomatous reaction is an example of type IV hypersensitivitySerum sickness & Arthus reactions are examples of type III hypersensitivityShwartzman reaction is a non-immunologic phenomenon in which endotoxin (lipopolysaccharide) induces local & systemic reactions; It can either be local or systemic type;